Which one of the following drugs does not have active metabolite
1. Diazepam
2. Lisinopril
3. Propanolol
4. Allopurinol

Correct answer: 2. Lisinopril

Explanation: Lisinopril - It is a lysine derivative of enalaprilat, doesn't require hydrolysis to become active ACE inhibitor. It's oral absorption is slow and incomplete, but unaffected by food.